Progressive enhancement pattern for a lesion on Breast MRI shows
1. Type I curve
2. Type II curve
3. Type III curve
4. Type IV curve

Correct answer: 1. Type I curve

Explanation: Breast MRI enhancement curves Following administration of Gadolinium there can be three possible enhancement kinetic curves for a lesion on breast MRI. Type 1 curve: progressive enhancement pattern Typically shows a continuous increase in signal intensity throughout time Usually considered benign with only a small proportion of (~9%) of malignant lesions having this pattern Type II curve: plateau pattern Initial uptake followed by the plateau phase towards the latter part of the study Considered concerning for malignancy Type III curve: washout pattern Has a relatively rapid uptake shows reduction in enhancement towards the latter part of the study Considered strongly suggestive of malignancy